Forceps inside the abdomen postoperatively amounts to
1. Res ipsa loquitur
2. Res judicata
3. Respondent superior
4. Novus actus interveniens

Correct answer: 1. Res ipsa loquitur

Explanation: Res ipsa loquitur (Latin for "the thing speaks for itself"): * Doctrine that infers negligence from the very nature of an accident or injury itself proves the negligent action of the physician in the absence of direct evidence. Res Judicata * Medical negligence case adjudicated by a court and therefore may not be pursued further by the same parties in another court. Respondent superior * A doctrine that holds an employer legally responsible for the wrongful acts of an employee, if such acts occur within the scope of the employment